Commonly isolated organism from oral cavity is
1. Streptococcus sanguis
2. Streptococcus pyogens
3. Neisseria gonorrheoa
4. Streptococcus pneumonia

Correct answer: 1. Streptococcus sanguis